Most common type of hypopharyngeal carcinoma is?
1. Adenocarcinoma
2. Lymphoma
3. SCC
4. Neuro-endocrine tumor

Correct answer: 3. SCC

Explanation: Ans. is 'c' i.e., SCC * Squamous cell carcinoma is by far the most malignant tumor of the larynx and hypopharynx.